Objectives of National Mental Health Program include all except:-
1. To ensure availability & accessibility of minimum mental health care for all
2. To protect rights of mental health patients
3. To promote community participation in mental health services development
4. To encourage application of mental health knowledge in general health care

Correct answer: 2. To protect rights of mental health patients

Explanation: Objectives of National Mental Health Program - 1. To ensure availability & accessibility of minimum mental health care for all 2. To promote community participation in mental health services development 3. To encourage application of mental health knowledge in general health care Also remember, Aims of National Mental Health Program; Prevention & treatment of mental health disorders Use of mental health technology to improve health Application of mental health principles in development & to improve quality of life